Which of the following is a polygenic disorder
1. Ankylosing spondylitis
2. Huntington's disease
3. Fragile X syndrome
4. Pendred syndrome

Correct answer: 1. Ankylosing spondylitis

Explanation: . Ankylosing spondylitis